Which of the following is not a cause for primary amenorrhea ?
1. Sheehan's syndrome
2. Kallmann's syndrome
3. Mayer Rokitansky Koster Hauser syndrome
4. Turner syndrome

Correct answer: 1. Sheehan's syndrome

Explanation: Sheehan's syndrome following severe postpartum haemorrhage cause pituitary necrosis by thrombosis of its vessels, and panhypopituitarism. The woman fails to lactate following delivery, remains lethargic and shows signs of hypothyroidism and cortisol deficiency. She requires appropriate hormonal support. Reference: Shaw's Textbook of Gynaecology 16th edition page no 328